Which of the following is not antibody dependent methods
1. ELISA
2. Chromatin Immunoprecipitation assay
3. Flow cytometry
4. SDS - PAGE

Correct answer: 4. SDS - PAGE

Explanation: Antibody dependent methods are:

EUSA
Protein Immunoprecipitation (ChIP assay)
Immunoelectrophoresis
Western blot
Protein Immunostaining
Flow cytometry.

Note: SDS PAGE is a method of separating proteins based on size.